The most appropriate circuit for ventilating a spontaneously breathing infant –
1. Jackson Rees modification of Ayre's T peiece
2. Mapleson A or Magill's circuit
3. Mapleson C or water's to & fro canister
4. Bain's circuit

Correct answer: 1. Jackson Rees modification of Ayre's T peiece